Gluconeogenesis in Fasting state is indicated by :
1. Citrate activation by acetyl Co-A carboxylase
2. Pyruvate Carboxylase activation by Acetyl CoA
3. Fructose 1,6 bisphosphate activates Pyruvate Kinase
4. Fructose 2, 6 bisphosphate activates PFK-1

Correct answer: 2. Pyruvate Carboxylase activation by Acetyl CoA

Explanation: B i.e. Pyruvate carboxylation activation